NOT a content of Rectus sheath among the following is
1. Pyramidalis
2. Superior epigastric artery
3. T12
4. T6

Correct answer: 4. T6

Explanation: Thorcoabdominal nerves (T7 - T11) and Subcostal nerve ( T12) are the nerves of Rectus sheath. T6 is not the content of Rectus sheath